True treatment regarding hepatic amoebiasis
1. More common in females
2. Multiple lesions
3. Mostly treated conservatively
4. Jaundice is common

Correct answer: 3. Mostly treated conservatively